Cribriform plate is a part of?
1. Ethmoid
2. Maxilla
3. Nasal
4. Frontal

Correct answer: 1. Ethmoid

Explanation: Ethmoid is a very light cuboidal bone situated in the anterior of base of cranial cavity between the two orbits; 1. Part of medial orbital walls 2. Part of nasal septum 3. Part of root of orbit 4. Lateral walls of the nasal cavity Ethmoid bone comprises 1 cribriform plate 2. Perpendicular plate 3. A pair of labyrinth Ref BDC volume volume3; 6 th edition pg 45